Pain in Endometriosis is due to all except
1. Inflammatory cytokines
2. Focal bleeding from endometriotic implants
3. Infiltration of nerves in pelvic floor
4. Retroversion of uterus

Correct answer: 4. Retroversion of uterus

Explanation: All except retroverted uterus are most common causes of dysmenorrhea in endometriosis.